A 14 year old male patient with a retrognathic mandible and darkened facial hair over his short upper lip can be categorized into which stage of adolescent growth?
1. Stage 1
2. Stage 2
3. Stage 3
4. Stage 4

Correct answer: 3. Stage 3